True or false regarding muscles of tongue
A. Palatoglossus arises from palatine aponeurosis and descends in the
palatoglossal arch
B. Hyoglossus protrudes the tongue forwards
C. Genioglossus arises from upper genial tubercle of mandible and it’s
upper fibers retract the tongue
D. Styloglossus is inserted onto dorsum of tongue
E. Hyoglossus is inserted into side of tongue between styloglossus and
inferior longitudinal muscle of tongue
1. A - True, B - True, C - False, D - True, E - True
2. A - False, B - False, C - True, D - False, E - True
3. A - False, B - True, C - False, D - True, E - False
4. A - True, B - False, C - True, D - False, E - True

Correct answer: 4. A - True, B - False, C - True, D - False, E - True

Explanation: Genioglossus is the protruder of tongue. Styloglossus is inserted into sides of tongue.